Cause(s) of retention of urine in reproductive age group:a) Cervical fibroidb) Retroverted gravid uterusc) Unilateral hydronephrosisd) Severe UTIe) Posterior urethral valve
1. acd
2. bcd
3. abc
4. abd

Correct answer: 4. abd

Explanation: Important gynecological causes of acute retention:—